Following are true about laryngomalacia except
1. Omega shaped epiglottis
2. Reassuarance of the patient is the treatment of choice
3. Condition is first noticed in the first few weeks of life
4. Expiratory stridor

Correct answer: 4. Expiratory stridor

Explanation: It is characterized by excessive flaccidity of supraglottic larynx which is sucked in during inspiration producing stridor and sometimes cyanosis. It shows inspiratory stridor. Stridor is increased on crying but subsides on placing the child in the prone position. The cry is normal. Direct laryngoscopy shows elongated epiglottis, curled upon itself (omega-shaped O), floppy aryepiglottic folds and prominent arytenoids. Ref: PL Dhingra 7th edition of Ear, Nose and Throat; Pg no 333